The earliest clinical feature of diabetic nephropathy is:
1. Microalbuminuria
2. Increased serum creatinine
3. Nephritic syndrome
4. Hematuria

Correct answer: 1. Microalbuminuria

Explanation: Answer is A (Microalbuminuria): The first clinically detectable sign of Diabetic Nephropathy is Microalbuminuria.